All the following are hormonal agents used against breast cancer EXCEPT :
1. Letrozole
2. Exemestane
3. Taxol
4. Tamoxifen

Correct answer: 3. Taxol